Which of the following is the antihelminthic of choice for the treatment of neurocysticercosis ?
1. Mebendazole
2. Albendazole
3. Thiabendazole
4. Ivermectin

Correct answer: 2. Albendazole

Explanation: - Albendazole is the anti-helminthic of choice for the treatment of neurocysticercosis. - Neurocysticercosis - Parasitic infestation of brain by encysted larvae of pork tape worm